In alcohol withdrawal which is not seen
1. Seizure
2. Blackout
3. Coarse tremor
4. Hallucination

Correct answer: 2. Blackout

Explanation: The most common withdrawal syndrome is a hangover on the next morning. Mild tremors, nausea, vomiting, weakness, irritability, insomnia and anxiety are the other common withdrawal symptoms. Sometimes the withdrawal syndrome may be more severe, characterised by one of the following three disturbances: delirium tremens, alcoholic seizures and alcoholic hallucinosis. Black out is an amnestic phenomenon seen in alcohol intoxication, not withdrawal. Ref: A Short Textbook of Psychiatry, Niraj Ahuja, 7th Edition, pg. no. 37